Which of the following is not the branch of maxillary branch of external carotid artery?
1. Inferior alveolar
2. Middle meningeal
3. Anterior tympanic
4. Posterior tympanic

Correct answer: 4. Posterior tympanic

Explanation: Maxillary artery is the larger terminal branch of the external carotid artery, given off behind the neck of mandible. It has three pasmandibular partPterygoid partPterygopalatine partBranches of respective parts are:Mandibular- deep auricular, anterior tympanic, Middle meningeal, accessory meningeal, Inferior alveolarPterygoid- massetric, deep temporal, Pterygoid, buccalPterygopalatine- posterior superior alveolar, Infraorbital, greater palatine, pharyngeal, Artery of pterygoid canal, sphenopalatine.(Ref: BDC part-111, fifth edition, pg-153 table 10.2)